External nose is formed from:
1. 3 paired+3 unpaired cartilages
2. 3 paired + 1 unpaired cartilages
3. 3 paired +4 unpaired
4. 1 paired+1 unpaired

Correct answer: 2. 3 paired + 1 unpaired cartilages

Explanation: 3 paired+ 1 unpaired cartilages External nose is made up of bony framwork which forms upper third part and cartilaginous forms lower two-third part framwork. cartilages of nose: -paired upper lateral nasal cartilages -paired lower nasal cartilages -lesser alar cartilages-2 or more in number -unpaired septal cartilage. Ref.Dhingra 5/e, p 149,150;6/e,p 134.